The endocrine disorder associated with generalized lymphadenopathy is-
1. Hypehyriodism
2. Addison's disease
3. Cushing'syndrome
4. Carcinoid syndrome

Correct answer: 1. Hypehyriodism

Explanation: Ans. is 'a' i.e., Hyperthyroidism o In graves disease generalized lymphoid hyperplasia occurs.